All are side effects of steroids EXCEPT:
1. Skin atrophy
2. Telengectasia
3. Folliculitis
4. Photosensitivity

Correct answer: 4. Photosensitivity